Scales used for assessing socio-economic status of populations are the following except -
1. Modified udai Pareek scale
2. Modified Kuppuswamy scale
3. Likert scale
4. BG Prasad scale

Correct answer: 3. Likert scale

Explanation: Ans. is 'c' i.e., Likert scale Socioeconomic status scales:Urban SES scales:Rural SES scales:1. Modified Kuppuswami Scale 2. Kulshreshtha Scale3. Srivastava Scale 4.Jalota Scale1. Udai Pareek Scale2. Modified B.G. Prasad Scale3. Radhukar Scale 4.Shirpurkar ScaleStudents scale:Non-Indian SES scales:l. Bhardwaj Scale1. Hollingshead (Occupation based) Scale2. Henderson Scale